Rideal-Walker coefficient is related with ?
1. Disinfecting power
2. Parasitic clearance
3. Dietary requirement
4. Statistical correlation

Correct answer: 1. Disinfecting power

Explanation: Ans. is 'a' i.e., Disinfecting power Traditional testing of disinfectants Two traditional tests for determining the efficiency of disinfectants are :? 1) Rideal-Walker test : Phenol is taken as the standard with unit as phenol coefficient (pheno1=1) 2) Chick-Martin test : The disinfectant acts in the presence of organic matter (dried yeast or feces).